Which visual field defects are seen in tip of Lateral geniculate body lesion?
1. Pie in the sky
2. Pie in the floor
3. Keyhole visual field defect
4. Homonyms hemianopia

Correct answer: 3. Keyhole visual field defect

Explanation: Tip of LGB lesions: Key hole visual field defect Temporal lobe lesion - Contralateral homonymous superior quadrantanopia (Pie in the sky) Parietal Lobe lesion-Contralateral homonymous inferior quadrantanopia (Pie in the floor). Left superior homonymous quadrantanopia Left inferior homonymous quadrantanopia Keyhole defects in visual fields : Lateral geniculate lesion. Homonymous hemianopia is seen in complete LGB lesions